Locord's system is ?
1. Podography
2. Dactylography
3. Poroscopy
4. Cheiloscopy

Correct answer: 3. Poroscopy

Explanation: Ans. is 'c' i.e., Poroscopy Dactylography (Galton's system) --> Study of finger prints. Poroscopy (Locard's system) -4 Study of number, sizes and distribution of pores of sweat glands on ridges (used when only a part of finger print is available). Podogram --> Study of foot print. Cheiloscopy (queiloscopy) --> Study of lip prints. Rugoscopy (Palatoprints) Study of anterior part of palate.